Branching enzyme is found in
1. Glycogenesis
2. Gluconeogenesis
3. Glycogenolysis
4. Glycolysis

Correct answer: 1. Glycogenesis

Explanation: Glycogen synthesis:- i. The glycogen synthase can add glucose units only in the alpha-1,4 linkage. A branching enzyme is needed to create the alpha-1,6 linkages. ii. When the chain is lengthened to 11 - 12 glucose residues, the branching enzyme will transfer a block of 6 to 8 glucose residues from this chain to another site on the growing molecule. The enzyme amylo--transglucosidase (branching enzyme) forms this alpha-1,6 linkage (Fig. 9.37). iii. To this newly created branch, further glucose units can be added in alpha-1,4 linkage by glycogen synthase.Ref: DM Vasudevan, 7th edition, page no: 125